Which of the following statement is false about Hurler syndrome:
1. X linked
2. MR
3. Joint stiffness
4. Coarse facial features

Correct answer: 1. X linked

Explanation: Ans. (a) X linkedRef: Harrison's 17th ed. Ch.DisorderEnzymeDef:InheritanceNeurologicOphthalmo- logicHematologicUnique FeaturesHurler syndromea-L- IduronidaseARMental retardation +Corneal cloudingVacuolated lymphocytesCoarse facies, cardiovascular involvement, joint stiffness, wide spaced teethHunter syndromeIduronate sulfatase (ET)X-linkedMental retardation, less in mild formRetinal degeneration, no corneal cloudingGranulated lymphocytesCoarse facies, cardiovascular, joint stiffness, distinctive pebbly skin lesions* Both have hepatosplenomegaly and skeletal dysplasia* In Hurler syndrome, death usually occurs by 10 years because of respiratory infection and heart failure.